Internal acoustic meatus transmits:
1. 6,7,8 cranial nerves.
2. 7,8 cranial nerves.
3. 6,7 cranial nerves.
4. All of the above.

Correct answer: 2. 7,8 cranial nerves.